Which of the following does T cells independent Antigen acts through -
1. T-cells
2. B-cells
3. macrophages
4. CD8+ T cells

Correct answer: 2. B-cells

Explanation: T cell independent antigen stimulate antibody production by B cells without the apparent participation of T cells. Most microbial sugars , lipids and certain nucleic acid are T cell independent antigens. Reference : Anathanarayan & paniker's 9th edition, pg no:90